Which of the following modalities have shown best result for pre menstrual syndrome?
1. SSRI
2. Progesterone
3. Oestrogen
4. Anxiolyties

Correct answer: 1. SSRI

Explanation: Premenstrual disorders:
• Frequently women of reproductive age experience symptoms during the late luteal phase of their menstrual cycle, and collectively these complaints are termed premenstrual syndrome (PMS) or premenstrual dysphoric disorder (PMDD)
• It is mostly seen in women aged to 30–45 years
 
Treatment of PMS: